Filtration pressure in glomeruli of kidney
1. 10 mm of Hg
2. 6 mm of Hg
3. 15mmofHg
4. 2.0mmofHg

Correct answer: 1. 10 mm of Hg

Explanation: Ans-A Ref: Guyton and Hall 13th edition textbook of Medical Physiology P.G.=60 C.G.=32 P.B.=18 So, FP= PG-CG-PB =60-32-18 =10mmHg